A patient with IQ 30 will be diagnosed with:
1. Mild mental retardation
2. Moderate mental retardation
3. Severe mental retardation
4. Profound mental retardation

Correct answer: 3. Severe mental retardation

Explanation: Normal 90-109 Borderline 70-89 Mild MR 50-69 Moderate MR 35-49 Severe MR 20-34 Profound MR <20